Radiation exposure occurs in all except:
1. CT scan
2. Plain X-ray
3. Fluoroscopy
4. MRI

Correct answer: 4. MRI

Explanation: Ans. MRI